Sea saw nystagmus is seen in :
1. Anterior longitudinal fasiculus
2. Craniopharyngioma
3. Medullary lesion
4. G.B. Syndrome

Correct answer: 2. Craniopharyngioma

Explanation: Ans. is 'b' Craniopharyngioma (Ref Parson, 18/e, p 336).In Parson it is given that sea-saw nystagmus occurs due to para chiasmatic masses and the only para chiasmatic mass in the option is craniopharyngioma.